Macrosomia is associated with :
1. Gestational diabetes mellitus
2. Hypertension
3. Hypothyroidism
4. Hyperbilirubinemia

Correct answer: 1. Gestational diabetes mellitus

Explanation: Macrosomia is the term used to describe a large fetus. A birth weight at term 4000g or more is also considered as macrosomia in the Indian context. RISK FACTORS: Maternal diabetes is the most important risk factor. Maternal obesity Previous large baby Post-term pregnancy Multiparity In Maternal Diabetes, Fetal macrosomia with birth weight of >4kgs results from Maternal Hyperglycemia-->hypertrophy and hyperplasia of the fetal islets of langerhans-->increases secretion of fetal insulin-->stimulates carbohydrates,utilization and accumulation of fat. Insulin like growth factors are also involved in fetal growth and adiposity. Elevated maternal free fatty acid in DM leads to increased transfer to the fetus-->accelaration of triglyceride synthesis-->adiposity. Reference: DC DUTTA'S TEXTBOOK OF OBS,9th edition,page no.265